Presence of diatoms in bone marrow are characteristic of which of the following?
1. Putrefaction
2. Drowning
3. Strangulation
4. Throttling

Correct answer: 2. Drowning

Explanation: Ans. (b) DrowningRef.: The Essentials ofFSM by K.S. Narayan Reddy 31st ed. / 346